Cow's milk contains what % proteins -
1. 1.1
2. 3.2
3. 3.5
4. 4.1

Correct answer: 2. 3.2

Explanation: Cow milk contain 3.2%of proteinREF. PARK'S TEXTBOOK OF PREVENTIVE AND SOCIAL MEDICAL 21ST EDITION. PAGE NO - 582